Physiological blue sclera is seen in?
1. Elderly
2. Pregnancy
3. Premature newborn
4. None of these

Correct answer: 3. Premature newborn

Explanation: Ans. (c) Premature newbornRef : Khurana 4/e, p 131, Yanoff2/e, p 518